Dopamine receptor with inhibitory action ?
1. D5
2. Di
3. D2
4. None

Correct answer: 3. D2

Explanation: Ans. is 'c' i.e., D2 Two types of dopamine receptors (D I , D2) were originally described. Three more (D3, D4, D5) have now been identified and cloned. All are G protein coupled receptors and are grouped into two families: Dl like: (Dl, D5) are excitatory D2 like: (D2,3,4) are inhibitory